Allopurinol is useful in all of the following conditions EXCEPT :
1. Cancer chemotherapy induced hyperuricemia
2. Hydrochlorothiazide induced hyperuricernia
3. Acute gouty arthritis
4. Kala azar

Correct answer: 3. Acute gouty arthritis